The vertebral artery traverses all of the following except
1. Foramen magnum
2. Subarachnoid space
3. Intervertebral foramen
4. Foramen transversarium

Correct answer: 3. Intervertebral foramen

Explanation: Vertebral artery is the first and largest branch of the first part of the subclavian artery, destined chiefly to supply the brain PARTS OF VERTEBRAL ARTERY: FIRST PART-The first part extends from the origin of the artery to the transverse process of sixth cervical vertebrae SECOND PART-The second part runs through foramina transversaria of the upper sixth cervical vertebrae THIRD PART-The third part lies in the suboccipital triangle FOURTH PART-The fourth part extends from the posterior atlantooccipital membrane to the lower border of pons Ref BDC volume 3,6th edition pg 164